Screening of colon cancer can be done by all except
1. Fecal occult blood
2. Colonoscopy
3. Flexible sigmoidoscopy
4. USG abdomen

Correct answer: 4. USG abdomen

Explanation: Faecal occult blood testing of people aged 60-69 years, followed by colonoscopy in those who test positive. A guaiac-based test is used, which detects peroxidase-like activity of faecal haematin. Studies have suggested a 15-20% reduction in colorectal cancer-specific mortality in the screened population. Flexible sigmoidoscopy can also be used as the initial screening tool, with a similar reduction in colorectal cancer-specific mortality.In FAP rectosigmoidoscopy is started at 10- 12 years. In HNPCC colonoscopy is started at 20-25 years.Ref: Bailey and love, page: 1262